Plaster of paris:
1. Is wet calcined hemihydrate
2. Has porous and irregular crystals
3. Is α— hemihydrate
4. Has a W / P of 0.2

Correct answer: 2. Has porous and irregular crystals